Transient tachypnea of new born, all are true except –a) Mild pleural effusionb) Air bronchogramc) Reticular shadowsd) Prom. interlobar fissure
1. a
2. bc
3. ac
4. ad

Correct answer: 2. bc

Explanation: Distinguishig this disease from hyaline membrane disease is difficult. The distinctive feature of transient tachyapnea are
Mild symptomology
Sudden recovery of the infant

* Absence of roentgenographic reticulogranular pattern or air bronchogram.